Cyclin D1 translocation is seen in
?
1. Follicular lymphoma
2. Mantle cell lymphoma
3. Hodgkin lymphoma
4. Melanoma

Correct answer: 2. Mantle cell lymphoma

Explanation: Mantle cell lymphoma is characterized by t(11,14) it places the cyclin D1 gene next to IgH enhancer gene. Among lymphomas, cyclin D1 expression is very specific for Mantle cell lymphoma.